Chondrocalcinosis is seen with
1. Gout
2. Osteoarthritis
3. Pseudogout
4. Septic arthritis

Correct answer: 3. Pseudogout

Explanation: C i.e. Pseudogout Chondrocalcinosis term is used for finding of radiopaque crystals in hyaline or fibrocartilage. It is seen in calcium pyrophosphate dihydrate crystal deposition disease (CPPD)Q, of which pseudogoutQ is a manifestation.